The denominator in General fertility rate
1. Live births
2. Mid year population
3. Reproductive women in the age group 15-45 mid year population
4. Married women in the age group 15-45

Correct answer: 3. Reproductive women in the age group 15-45 mid year population

Explanation: General fertility rate (GFR) : Number of live births per 1000 women in the reproductive age group 15-49 years in a given year Denominator : Takes 'mid-year population' of 15-49 years age females into account Ref: Park 25th edition Pgno : 539